Ainhum is seen in
1. Base of great toe
2. Base of fingers tips
3. Base of toe
4. Ankle

Correct answer: 3. Base of toe

Explanation: Ainhum : is a condition usually affecting Negro males (but some females) who have run barefoot in child hood.
Clinical Features : A fissure appears at interphalangeal joint of toe -usually the fifth. This fissure becomes a fibrous band, encircles the digit and causes necrosis.